C. diphtheriae is also called as:
1. Pfeffiers bacilli
2. Whitmore bacilli
3. Robert Koch bacilli
4. Kleb-Loeffler's bacilli

Correct answer: 4. Kleb-Loeffler's bacilli

Explanation: Ans. is 'd' i.e., Klebs-Loeffler bacillus(Ref: Ananthanarayan, 9th/e, 236 and 8th/e, p. 232)The diphtheria bacillus was first observed and described by Klebs but was first cultivated by Loeffler(1884). Therefore, it is known as Klebs-Loeffler Bacillus (KLB).